The Gustatory nucleus is a part of
1. Solitary nucleus
2. Hypoglossal nucleus
3. Nucleus ambiguous
4. Dorsal motor nucleus

Correct answer: 1. Solitary nucleus

Explanation: The rostral part of the solitary nucleus is sometimes referred to as the gustatory nucleus. The solitary nucleus conveys information about taste and visceral sensations